All of these drugs are used in treatment of acute gout except:
1. Allopurinol
2. Steroids
3. Colchicine
4. Naproxen

Correct answer: 1. Allopurinol

Explanation: Naproxen is used in acute gout . Steroids are used in case of NSAID hypersensitivity. Colchicine can also be used but not allopurinol which is used in chronic gout.